Autopsy finding after 12hrs in a case of death due to M.I. -
1. Caseous necrosis
2. Coagulative necrosis
3. Fat necrosis
4. Liquefactive necrosis

Correct answer: 2. Coagulative necrosis

Explanation: Here I am giving you a simplified version of the table given on Robbins, go through this you will get the answer.
If you are interested in more details, you can see the table given in Robbins on page 558 6th/e Robbins